Epitope spreading refers to:
1. A type of mechanism of spread of malignant tumors
2. One type of mechanism of HIV dissemination
3. A mechanism for the persistence and evolution of autoimmune disease
4. One of the mechanisms of apoptosis

Correct answer: 3. A mechanism for the persistence and evolution of autoimmune disease

Explanation: Epitope spreading is a phenomenon in which an immune response against one self antigen causes tissue damage This causes release of other antigens, and resulting in the activation of lymphocytes by these newly encountered epitopes. This is responsible for the persistence and progression of autoimmune diseases.